Common childhood tumors are – a) Acute lymphoblastic leukemiab) Chronic lymphoblastic leukemiac) Chronic myeloid leukemiad) Brain tumore) Wilm's tumor
1. ade
2. bde
3. abd
4. ad

Correct answer: 1. ade

Explanation: Childhood malignancies are : -

Leukaemia (AML, ALL)                                                                  
Brain tumors                                                                               
Soft tissue sarcoma → Rhabdomyosarcoma   
Lymphoma
Bone tumor  
Neuroblastoma  
Retinoblastoma 
Wilm's tumor